Rasmussen's aneurysm occurs due to
1. Vertebral artery
2. Bronchial artery
3. pulmonary artery
4. Posterior intercostal artery

Correct answer: 3. pulmonary artery

Explanation: Rasmussen's aneurysm is a pulmonary artery aneurysm adjacent or within a tuberculous cavity. It occurs in up to 5% of patients with such lesions. It may lead to rupture and haemorrhage.